Which of the following is called as pseudomyopia
1. Insufficiency of accomodation
2. Nuclear cataract
3. Spasm of accomodation
4. Presbyopia

Correct answer: 3. Spasm of accomodation

Explanation: Pseudomyopia refers to an intermittent and temporary shift in refractive error of the eye towards myopia, in which the focusing of light in front of the retina is due to a transient spasm of the ciliary muscle causing an increase in the refractive power of the eye ( Spasm of accomodation) Spasm of accomodation: A spasm of accommodation (also known as a accommodative spasm) is a condition in which the ciliary muscle of the eye remains in a constant state of contraction. Normal accommodation allows the eye to "accommodate" for near-vision. Cause Drug Induced Spasm with miotics like echothiophate Spontaneous spasm of children who attempt to compensate refractory errors Diagnosis: It is made with refraction under atropine Treatment -Relaxation of ciliary muscles by atropine